Hyperbaric oxygen therapy is indicated for treatment of?
1. CO poisoning
2. Caisson disease
3. Gas gangrene
4. All

Correct answer: 4. All

Explanation: Hyperbaric oxygen therapy uses a pressurized chamber to expose the patient to oxygen tensions exceeding ambient barometric pressure (at sea level the ambient pressure is 760 mm Hg). Common indications for hyperbaric oxygen include decompression sickness (the "bends"), certain forms of gas embolism, gas gangrene, carbon monoxide poisoning, and treatment of certain wounds.